Ioc in Choledocholithiasis
1. USG
2. MRCP
3. ERCP
4. HIDA Scan

Correct answer: 2. MRCP

Explanation: IoC for Cholelithiasis - USG
IoC for Choledocholithiasis - MRCP.